A young female Shagun comes to you in the gynecology OPD and gives the history that she had intercourse with her boyfriend 5 hours back. Select the drug that can act as a single dose postcoital contraceptive for her:
1. Clomiphene citrate
2. Mifepristone
3. Danazol
4. Medroxyprogesterone acetate

Correct answer: 2. Mifepristone